Auto claving is done in :
1. Dry air at 121 degree C and 15 1b pressure
2. Steam at 100 deg C for 30 minutes
3. Steam at 121 deg C for 15 minutes
4. Dry air at 160 deg C for 30 minutes

Correct answer: 3. Steam at 121 deg C for 15 minutes